The reason why most patients suffering from recurrent herpes labialis rarely give a history of having acute form of the herpetic gingivastomatitis is because:
1. Etiological agents differ
2. Theacuteform occursonlyin severelyirn munocompromised individuals
3. The primary infection was subctinical
4. The patient has received antibodies during intrauterine life and the antibodies have persisted

Correct answer: 3. The primary infection was subctinical